Carrier state is not important in transmission of
1. Typhoid
2. Poliomyelitis
3. Measles
4. Diphtheria

Correct answer: 3. Measles